Chronic hepatitis of moderate to severe nature can be a result of treatment with:
1. INH
2. Sulfonamides
3. Estrogens
4. Erythromycin

Correct answer: 1. INH

Explanation: Oxyphenisatin, methyldopa, and isoniazid have been associated with moderate to severe chronic hepatitis. Ref: Harrisons Principles of Internal Medicine, 18th Edition, Page 2561